Trisomy 18 is known as -
1. Edward Syndrome
2. Patau sundrome
3. Cat eye syndrome
4. Down's syndrome

Correct answer: 1. Edward Syndrome

Explanation: Ans. is 'a' i.e., Edward Syndrome Name of syndromeTrisomyEdward18Patau13Cat eye22Down's21